All of the following are true in case of chronic liver disease except:-
1. MELD score is used frequently to see whom needs liver transplant early
2. MELD score includes serum albumin, creatinine, and INR
3. Child Pugh score includes PT-INR, albumin and bilirubin
4. Child Pugh score has class A,B,C

Correct answer: 2. MELD score includes serum albumin, creatinine, and INR

Explanation: MELD Score: - Model for End Stage Liver Disease. - Used for organ allocation in liver transplant recipients - Components: Serum creatine Serum Bilirubin INR Child Turcot Pugh classification: Child-Turcotte-Pugh (CTP) Score Variable 1 Point 2 Points 3 Points Serum albumin (g/dL) >3.5 2.8-3.5Q <2.8 Bilirubin (mg/dL) <2 2-3Q >3 Prothrombin time (sec above normal) or INR <4<1.7 4-6Q 1.7-2.3Q >6>2.3 Ascites None ControlledQ Uncontrolled Encephalopathy None ControlledQ Uncontrolled Class A 5-6 pointsQ Class B 7-9 pointsQ Class C 10-15 pointsQ Major surgeries can be done only in Class AQ. Only minor surgical procedures can be performed in Class BQ. No surgical intervention should be done in Class C (Best treatment is liver transplantation)Q.